Pterygopalatine ganglion is functionally connected to
1. Facial Nerve
2. Mandibular Nerve
3. Glosso pharyngeal Nerve
4. Maxillary nerve

Correct answer: 1. Facial Nerve